Primary auditory area is
1. Inferior temporal gyrus
2. Occiptal cortex
3. Superior temporal gyrus
4. Frontal cortex

Correct answer: 3. Superior temporal gyrus

Explanation: The cerebrum is the largest part of the brain and consists of two cerebral hemispheres connected corpus callosum. The surface layer of each hemisphere is called the cortex and is composed of gray matter.The frontal lobe is situated in front of the central sulcus and above the lateral sulcus.The parietal lobe is situated behind the central sulcus and above the lateral sulcus.The precentral gyrus lies immediately anterior to the central sulcus and is known as the motor area and control voluntary movements on the opposite side of the body.Most nerve fibers cross over to the opposite side in the medulla oblongata as they descend to the spinal cord. The postcentral gyrus lies immediately posterior to the central sulcus and is known as the sensory areaThe superior temporal gyrus lies immediately below the lateral sulcus. The middle of this gyrus is concerned with the reception and interpretation of sound and is known as the auditory area.Broca's area, or the motor speech area, lies just above the lateral sulcus. The visual area is situated on the posterior pole and medial aspect of the cerebral hemisphere in the region of the calcarine sulcus. It is the receiving area for visual impressions.